Which is the most common clinical feature of pheochromocytoma?
1. Profuse sweating
2. Palpitations
3. Diarrhea
4. Headaches

Correct answer: 4. Headaches

Explanation: The most common clinical feature is headaches due to paroxysmal hypertension. The mnemonic to remember triad for suspecting pheochromocytoma is PHD- Palpitations, Hypertension,Hypercalcemia Diaphoresis. Note: Remember it is a mnemonic and does not imply that most common feature is palpitations.